True about galactorrhoea
1. Always U\/L
2. Found in pregnancy & lactation
3. Associated with prolactinoma & other endocrinopathies
4. Surgery is done

Correct answer: 3. Associated with prolactinoma & other endocrinopathies

Explanation: Galactorrhoea is secretion of milk not related to pregnancy and lactation. Its always bilateral Causes: Due to stress,physiological in puberty and menopause. Secondary galactorrhoea is due to hypothyroidism, prolactinoma resulting in hyperprolactenemia,ectopic prolactin secreting tumours,chronic renal failure. SRB's Manual of Surgery.Edition -5. Pg no:527